Malaria is regarded as a disease caused by:
1. Protozoa
2. Bacteria
3. Virus
4. Prions

Correct answer: 1. Protozoa

Explanation: Ans) a (protozoa) Ref park 20th ed p 222Malaria is a protozoal disease caused by infection with parasites of genus plasmodium and transmitted to man by certain species of infected female Anopheline mosquito.